There are sharp demarcations between pulpal chambers and pulp canals in which of the following teeth?
1. Mandibular second premolars
2. Maxillary first premolars
3. Maxillary lateral incisors
4. Mandibular canines

Correct answer: 2. Maxillary first premolars